Total cholesterol level = a+ b (calorie intake) + c (physical activity) + d (body mass index); is an example of -
1. Simple linear regression
2. Simple curvilinear regression
3. Multiple linear regression
4. Multiple logistic regression

Correct answer: 3. Multiple linear regression

Explanation: Ans. is 'c' i.e., Multiple linear regression o The total cholesterol level in the given question is shown to depend on several (multiple) independent variables viz. calorie intake, physical activity and body mass index. It is thus an example of multiple regression. Also the relationship depicted in the equation is not logarithmic (log) but linear and hence multiple linear regression is the answer here. Note ? o Now you have read about both correlation and regression. Here I am explaining the difference between two in brief. o While correlation indicates the degree (strength) of association between two variables, regression does quantification of this relationship i.e. regression indicates the nature of the relationship Algebraically. o For example, Height to weight is an association :- i) Strength of this association will be determined by correlation ---> strong positive / negative or weak positive / negative. ii) Quantification is done by regression --> by regression we might predicts the weight by measuring height.